True about vagal nuclei are all except-
1. There are 4 vagal nuclei
2. They are found in the floor of 4th ventricle
3. Nucleus Ambiguous is a vagal nucleus
4. Spinal trigeminal nucleus is not a vagal nucleus

Correct answer: 4. Spinal trigeminal nucleus is not a vagal nucleus

Explanation: Ans. is 'd' i.e., Spinal trigeminal nucleus is not a vagal nucleus * The vagus nerve includes axons which emerge from or converge onto four nuclei of the medulla. They are present deep in the medulla in the floor of the 4th ventricle.* These nuclei are:-1. The dorsal nucleus of vagus nerve -- which sends parasympathetic output to the viscera, especially the intestines2. The nucleus ambiguus -- which gives rise to the branchial efferent motor fibers of the vagus nerve and preganglionic parasympathetic neurons that innervate the heart3. The solitary nucleus -- which receives afferent taste information and primary afferents from visceral organs4. The spinal trigeminal nucleus -- which receives information about deep/crude touch, pain, and temperature of the outer ear, the dura of the posterior cranial fossa and the mucosa of the larynx